Precursor of melanin is:
1. Phenylalanine
2. Tryptophan
3. Tyrosine
4. Methionine

Correct answer: 3. Tyrosine